Drug induced lupus can result from all the following, EXCEPT:
1. Penicillin
2. Phenytoin
3. Hydralazine
4. Hydrochlorothiazide

Correct answer: 1. Penicillin

Explanation: Penicillin is not known to cause drug induced lupus. Drugs most commonly associated with drug induced lupus are: Procainamide and hydralazine. Quinidine, isoniazid, methyldopa, minocycline and chlorpromazine are also involved. Other drugs that are probable causes includes anticonvulsants, statins, fluorouracil agents, terbinafine, antithyroid drugs and hydrochlorothiazide.